Ependymomas are commonly associated with:
1. Tuberous sclerosis
2. Neurofibromatosis 1
3. Neurofibromatosis 2
4. All of the above

Correct answer: 3. Neurofibromatosis 2

Explanation: Ependymomas most often arise next to the ependyma-lined ventricular system, including the oft-obliterated central canal of the spinal cord. In the first two decades of life they typically occur near the fourth ventricle and constitute 5% to 10% of the primary brain tumors in this age group. In adults the spinal cord is the most common location; tumors in this site are particularly frequent in the setting of neurofibromatosis type 2 Ref: Robbins 8th edition Chapter 28.